Intensified malaria control under the national framework for malaria elimination is defined as:
1. States with API >=1
2. Zero incidence of malaria
3. No longer a health problem
4. 3 consecutive years no local transmission in the state

Correct answer: 1. States with API >=1

Explanation: Ans. (A) States with API >=1(Ref: Park Textbook of PSM 25th ed; pg. 286)The objectives of the national framework for malaria elimination are:#By 2022, by all 26 states that were in cat 1,2 in year 2014Interrupt transmission of malariaZero indigenous cases#By 2024: Incidence of malaria to be less than 1 per 1000 population in all states in India.#By 2027: Indigenous transmission to be interrupted in all states in India.#By 2030: Malaria to be eliminated and re-establishment prevented.Technically the NVBDCP divides the country into 4 categories based on the malaria burden:CategoryDefinitionNamingCategory-0Zero indigenous cases of malariaPrevention of re-established phaseCategory-1States with API <1 and all districts with API <1Elimination phaseCategory-2States with API <1 and few districts with API >1Pre-elimination phaseCategory-3States with API >=1Intensified control phaseStates with API >=1: Yes, this is technically right definition for intensified malaria control in an area.Zero incidence of malaria: No, the incidence is to be reduced lessNo longer a health problem: No, the incidence to be reduced to less than 1/1000 cases by 2024.3 consecutive years no local transmission in the state: Probably, may be correct, but the criteria of 3 years are not true.